Half-life of CRP is
1. 6 hours
2. 12 hours
3. 20 hours
4. 24 hours

Correct answer: 3. 20 hours

Explanation: Plasma half-life of CRP is about 19 hours.